Nocardia is differentiated from Actinomyces by ?
1. Gram stain
2. ZN stain
3. Nocardia causes mycetoma, Actinomyces does not
4. Nocardia is faculative anerobe

Correct answer: 2. ZN stain

Explanation: Ans. is 'b' i.e. Z.N. Stain Differences between Actinomyces and Nocardia Actinomyces Nocardia . Anaerobic or microaeroph i I ic . Non-acid fast . Strict aerobe . Acid fast (N. astroides and N. brasilensis) . Natural habitat mouth, . Natural habitat -- Soil intestine, vagina . Most infections are endogenous . Most infections are exogenous . Grows at 35 - 37degC . Can grow at wide range of temperature . Causes Actinomycosis . Causes Nocardiasis . Can occur with normal host . More common with deficient CMI immunity . T/t --> Penicillin . T/t ---> Sulfonamide . Nocardia is acid fast, can be differentiated from Actinomyces by Ziehl Neelsen (Z.N.) stain. . Both can cause actinomycetoma. . Both are gram positive so can not be differentiated by Gram stain.